Most common soft tissue sarcoma in children is
1. Liposarcoma
2. Myosarcoma
3. Rhabdomyosarcoma
4. Sacro  -  occygeal teratoma

Correct answer: 3. Rhabdomyosarcoma

Explanation: Rhabdomyosarcoma is the Most common Pediatric soft tissue sarcoma.